Bacteria aquires restriction endonuclease by horizontal transfer. The result would be
1. Bacteria can undergo mutation
2. Bacteria causes death of host DNA
3. Bacteria cannot survive because it lacks DNA methylase that protects the host DNA
4. It helps in DNA proof reading in bacteria

Correct answer: 3. Bacteria cannot survive because it lacks DNA methylase that protects the host DNA

Explanation: C i.e. Bacteria cannot survive because it lacks DNA methylase that protects the host DNA Any bacteria is protected against its own restriction endonuclease (RE) by a companion enzyme site specific DNA methylase which methylates the restriction sites recognized by that particular REQ. In other wors, every bacteria has its own pair of RE & site specific DNA methylase - So if any bacteria aquires new/ different RE by horizontal transfer (i.e. from other bacteria) this restriction enzyme will cleave (lyse) the bacterial DNA and kill bacteriaQ because the restriction sites for this RE are not methylated & protected.